Osteoblastic metastases is seen in:
1. Lung Ca
2. Prostate Ca
3. Breast Ca
4. Hepatocellular Ca

Correct answer: 2. Prostate Ca

Explanation: (Refer: Robbins Pathologic Basis of Disease,8thedition, pg no: 1205)